Flick's operation and Cody Track's procedure is for
1. Otosclerosis
2. Meniere's disease
3. Atrophic rhinitis
4. Benign positional paroxysmal vertigo

Correct answer: 2. Meniere's disease

Explanation: Fick's operation for sacculotomy is puncturing the saccule with a needle through stapes footplate. Cody's tack procedure consists of placing a stainless steel track through the stapes footplate. The tack would cause periodic decompression of the saccule when it gets distended. Both these operations were claimed to have shown good results but they could not be reproduced by others and this abandoned. Cochleosacculotomy is another similar procedure in which, instead of the saccule, the cochlear duct is punctured and drained into perilymph(otic- periotic shunt)This is done as a conservative procedure of surgical treatment of Meniere's disease. Ref: Diseases of EAR, NOSE and THROAT by PL Dhingra; 7th Edition; page no.115